Enlarged and pale placenta, is due to infection by _______
1. Parvovirus
2. Measles
3. Syphilis
4. Toxoplasmosis

Correct answer: 3. Syphilis

Explanation: Enlarged and pale placenta is due to infection by syphilis. Other clinical manifestations and complications include: Spontaneous abortion Stillbirth Non-immune hydrops intrauterine Growth restriction Perinatal death Ref: Williams Obstetrics 25th edition Pgno: 1237